Which of the following is not a part of glomeru- lar filtration barrier -
1. Mesangialcell
2. Endothelial cell
3. Podocyte
4. Basement membrane

Correct answer: 1. Mesangialcell

Explanation: Ans. is 'a' i.e., Mesangial cell o The glomerular membrane (or the filtration barrier) is the filtration surface through which the fluid is filtered out from the blood into the uriniferous tubules,o The glomerular membrane (filtration barrier) comprises :The glomerular capillary endothelium,The basement membrane (basal lamina) andThe Bowman's visceral epithelium (podocytes).